Antigen - Antibody reactions occurs at its best at
1. Prozone
2. Postzone
3. Zone of equivalence
4. All of the above

Correct answer: 3. Zone of equivalence

Explanation: Zone of equivalence - Ag and Ab level equal thus, best.